All are used for treating Pulmonary hypertension except:
1. Endothelin receptor antagonists
2. Phosphodiesterase inhibitors
3. Calcium Channel Blockers
4. Beta blockers

Correct answer: 4. Beta blockers

Explanation: Beta blockers Repeat .from May10 Q no.69